A 26 year woman presents with a palpable thyroid nodule, and needle biopsy demonstrates amyloid in the stroma of the lesion. A cervical lymph node is palpable on the same side as the lesion. the preferred treatment should be :
1. Removal of the involved node, the isthmus, and the enlarged lymph node
2. Removal of the involved lobe, the isthmus, a portion of the opposite lobe, and he enlarged lymph node.
3. Total thyroidectomy and modified neck dissection on the side of the enlarged lymph node.
4. Total thyroidectomy and irradiation of the cervical lymph nodes.

Correct answer: 3. Total thyroidectomy and modified neck dissection on the side of the enlarged lymph node.

Explanation: Answer is C (Total Thyroidectomy and Modified neck dissection on the side of enlarged lymph node) : Presence of thyroid nodule along with palpable cervical lymph nodes and amyloid histologically is clearly indicative of Medullan, variety of Carcinoma Thyroid. Treatment of Medullary Carcinoma Thyroid : Total thyroidectomy + Resection of involved lymph nodes by radical / modified radical neck dissection.